A patient with sinus infection develops chemosis,B/L proptosis and fever, the diagnosis goes in or of:
1. lateral sinus thrombosis
2. Frontal lobe abscess
3. Cavernous sinus thrombosis
4. Meningitis

Correct answer: 3. Cavernous sinus thrombosis

Explanation: Angular vein which begins from medial angle of eye,continues as the facial vein.The facial vein communicates with the cavernous sinus through the deep facial vein and pterygoid plexus of veins. B/L proptosis,fever and chemosis point towards cavernous sinus thrombosis. Ref Dhingra 6/e,p 201.